Treatment of Bipolar disorder includes:
1. Anti-depressant drugs
2. Lithium carbonate
3. ECT
4. All

Correct answer: 4. All

Explanation: A, C, B i.e. Anti-depressant drugs, ECT, Lithium carbonate